Regarding G6PD deficiency true are
1. Autosomal dominant
2. Bite cell (+)
3. Protects against kala azar
4. Enzyme level directly proportional to age of RBC

Correct answer: 2. Bite cell (+)

Explanation: G6PD deficiency is an X linked recessive disease, give protection against malaria.Heinz bodies/bite cells are characteristic. Ghai essential of pediatrics, eighth edition, p.no:339